Which of the following is most useful to differentiate micrococci from staphylococci?
1. Catalase test
2. Hugh-Leifson test
3. Coagulase test
4. All of the above

Correct answer: 2. Hugh-Leifson test

Explanation: The common lab test used to differentiate between micrococci and staphylococci is Hugh and Leifson's oxidation fermentation test in which micrococci show oxidative and staphylococci chow fermentative patterns. Both are members of the family Micrococaceae and both are catalase positive. Coagulase test differentiates between Staph. aureus and other coagulase-negative Staphylococci.